According to WHO, blindness is defined as a visual acuity of the better eye, less than
1. 6/60.
2. 5/60.
3. 4/60.
4. 3/60.

Correct answer: 4. 3/60.

Explanation: Blindness

WHO has proposed a uniform criterion and defined blindness as "Visual acuity of less than 3/60 or its equivalent".
In the absence of appropriate vision charts, the WHO has now added the "inability to count fingers in daylight at a distance of 3 meters" to indicates less than 3/60 or its equivalent.